Hemochromatosis induced cardioniyopathy, investigation of choice is-
1. MRI
2. ECG
3. CT scan
4. Echocardiography

Correct answer: 1. MRI